Enalapril is contraindicated in all of the following conditions except:
1. Diabetic nephropathy with albuminuria
2. Single kidney
3. Bilateral renal artery stenosis
4. Hyperkalemia

Correct answer: 1. Diabetic nephropathy with albuminuria